S. aureus causes a wide variety of infections, ranging from wound infection to pneumonia. Treatment of S. aureus infection with penicillin is often complicated by the
1. Inability of penicillin to penetrate the membrane of S. aureus
2. Production of penicillinase by S. aureus
3. Production of penicillin acetylase by S. aureus
4. Lack of penicillin binding sites on S. aureus

Correct answer: 2. Production of penicillinase by S. aureus

Explanation: Staphylococci are Gram-positive, non-sporeforming cocci. Clinically, their antibiotic resistance poses major problems. Many strains produce 13-lactamase (penicillinase), an enzyme that destroys penicillin by opening the lactam ring. Drug resistance, mediated by plasmids, may be transferred by transduction.